Pringles maneuver is clamping of -
1. Portal triad
2. Pulmonary hilum
3. Renal hilum
4. Splenic hilum

Correct answer: 1. Portal triad

Explanation: Ans. is 'a' i.e., Portal triad Pringle maneuvero If manual compression of the liver fails control hemorrhage, pringle maneuver is required to control bleeding.o Placing a non crushing vascular cramp across the sutures in the porta hepatitis to control bleeding.